The type of mammary ductal carcinoma in situ (DCIS) most likely to result in a palpable abnormality in the breast is -
1. Apocrine DCIS
2. Neuroendocrine DCIS
3. Well differentiated DCIS
4. Comedo DCIS

Correct answer: 4. Comedo DCIS

Explanation: Carcinoma of the breast is divided into :

Carcinoma in situ → neoplastic cells is limited to ducts and lobules by the basement membrane.
Invasive carcinoma (infiltrating carcinoma) → cells invade beyond the basement membrane.

Caricnoma in situ :

It is of two types

A. Ductal carcinoma insitu (DCIS, intraductal carinoma )

Most frequently present as manzmographic calcification.
Rarely palpable mass may also occur in comedocarcinoma.
DCTS is of two types -

i. Comedocarcinoma
ii. Noncomedo DCTS → Solid, cribriform, papillary or micropapillary

B. Lubular carcinoma in Situ (LCIS)

Always an incidental finding in a biopsy performed for another reason.
LCIS is not associated with calcification → Therefore, it remains infrequent with or without mammography (in contrast to DCIS)
Frequently multicentric and bilateral
Signet ring cells are common.